Conjunctival xerosis is seen in -
1. Vitamin A deficiency
2. Herpetic keratitis
3. Glaucoma
4. None

Correct answer: 1. Vitamin A deficiency

Explanation: Ans. is 'a' i.e., Vitamin A deficiencyo Xerosis of conjunctiva refers to a condition where the conjunctiva becomes dry and lusterless. Depending upon the etiology', conjunctival xerosis can be divided into two groups : -A) Parenchymatous xerosis : - It occurs following cicatricial disorganization of conjunctiva due to local causes which can be : -TrachomaDiphtheric membranous conjunctivitisStevens - Johnson syndromePemphigusThermal, chemical or radiational burnLagophthalmos due to symblepheron.B) Epithelial xerosis : - It occurs due to vitamin 'A'deficiency (Xerophthalmia).